Lamina papercea separates nose from
1. Sphenoid bone
2. Orbit
3. Frontal bone
4. Maxillary sinus

Correct answer: 2. Orbit

Explanation: Ans. is 'b' i.e., Orbit The lamina papyracea is a thin part of ethmoid.The bone lamina papyracea divides the orbit from the nose and paranasal sinuses. The orbit and the paranasal sinuses are intimately related on three sides.The lamina papyracea separates the orbit and its contents from the ethmoidal sinus.Lamina papyracea articulates :-Above with orbital plate of frontal bone.Below with maxilla and orbital process of palatine bone.In front with lacrimal boneBehind with sphenoid.Lamina papyracea is so called as it is paper thin and fractures easily.Fracture may cause entrapement of medial rectus.